All of the following are true of ss thalassemia major, except
1. Splenomegaly
2. Target cells on peripheral smear
3. Microcytic hypochromic anemia
4. Increased osmotic fragility

Correct answer: 4. Increased osmotic fragility

Explanation: In thalassemia major there will be marked splenomegaly,hypochromic microcytic anemia and target cells in peripheral smear. osmotic fragility decreases. Reference: GHAI Essential pediatrics, 8th edition